A patient in Chronic renal failure presents with tall peaked T waves on ECG. Management includes:
1. IV K-bicarbonate
2. KC1
3. CaC12
4. All

Correct answer: 3. CaC12

Explanation: Answer is C (Calcium chloride) Tall Peaked T waves on ECG indicate cardiac toxicity secondary to severe hyperkalemia. Management includes immediate administration of Calcium salts (Calcium gluconate or Calcium chloride) to counteract the myocardial effects of hyperkalemia Sodium bicarbonate helps reduce serum potassium concentration by redistributing potassium and shilling K+ into cells.